Edema occurs due to:
1. Increased capillary permeability
2. Decreased capillary permeability
3. Decreased interstitial fluid
4. Decreased blood flow

Correct answer: 1. Increased capillary permeability